Failure of migration of neural crest cells is seen in?
1. Albinism
2. Congenital megacolon
3. Odontomes
4. Adrenal tumour

Correct answer: 2. Congenital megacolon

Explanation: B i.e. Congenital Megacolon